The potential risks associated with hormone replacement therapy in post-menopausal women are all except
1. Venous thromboembolism
2. Endometrial cancer
3. Breast cancer
4. Colon cancer

Correct answer: 4. Colon cancer

Explanation: HRT is protective for colon cancer.